The most common site for Herpes Zoster is:
1. Sacral area
2. Cervical area
3. Limbs
4. Thoracic area

Correct answer: 4. Thoracic area

Explanation: Varicella-zoster virus (VZV) causes two distinct clinical entities: varicella (chickenpox) and herpes zoster (shingles). Chickenpox, a contagious infection, is usually a benign illness of childhood characterized by an exanthematous vesicular rash. The dermatomes from T3 to L3 are most frequently involved. (Thoracic area) Herpes Zoster: Reactivation of latent VZV from dorsal root ganglia. Seen in immunocompromised hosts, especially AIDS. Characterized by a unilateral vesicular dermatomal eruption associated with severe pain. Ocular symptoms can occur after zoster eruption in any branch of the trigeminal nerve but are particularly common when vesicles form on the nose, reflecting nasociliary (V1) nerve involvement (Hutchinson's sign).